What is the name of this test to be done before drawing an arterial blood gas sample:
1. Virchow test
2. Water hammer test
3. Allen test
4. Trendelenburg test

Correct answer: 3. Allen test

Explanation: Allen's test: to assess the arterial blood supply of the hand A - Both radial & ulnar artery are occluded; B - Ulnar artery kept occluded, Radial artery released Water hammer test- to detect water hammer pulse in aortic regurgitation Trendelenburg test- to detect weakness of hip abductors